2-3 DPG is decreased in ?
1. Anemia
2. Acidosis
3. High altitude
4. Exercise

Correct answer: 2. Acidosis

Explanation: Ans. is 'b' i.e., AcidosisFactors which decrease 2,3 DPG and cause left shift of O2 dissociation curve are :-i) Acidosisii) Stored bloodiii) Fetal hemoglobin